Most common cause of pneumonia in children less than 2 years is ?
1. RSV
2. Streptococcus aureus
3. Staphylococcus aureus
4. Klebsiella

Correct answer: 1. RSV

Explanation: Respiratory syncytial virus is the most important cause of pneumonia in children less than 2 years of age.At other ages ,influenza, parainfluenza, adeno virus are common. Bacteria causing pneumonia are klebsiella, S.pneumonia, E.coli, H.influenza, staphylococci, Atypical organisms like Mycoplasma and Pneumocystis carinii. Ref : ESSENTIAL PEDIATRICS,O.P.GHAI,PG NO:352,7th edition